In neonatal cholestasis, direct bilirubin is:
1. >10%
2. >15%
3. >20%
4. >25%

Correct answer: 3. >20%

Explanation: Neonatal cholestasis is defined biochemically as prolonged elevation of the serum levels of conjugated bilirubin (> 2 mg/dl or >20% of total bilirubin level) beyond the 1st 14 days of life.